Basiliximab is a monoclonal antibody against :
1. IL-2 receptor
2. CD20
3. INF - α
4. IL-6

Correct answer: 1. IL-2 receptor

Explanation: Basiliximab  & Daclizumab are monoclonal antibody against IL-2 receptor (CD25) used as immunosuppresants.